Best marker of gestational age in 2nd trimester is :
1. Biparietal diameter
2. Head circumference
3. Crown rump length
4. Femur length

Correct answer: 1. Biparietal diameter

Explanation: In the second trimester the BPD most accurately reflects the gestational age, with a variant of 7-10 days. Prediction of gestational age by USG: 8-12 weeks - Crown rump length measurement Second trimester -BPD, HC Third trimester - Femur length Ref: Williams Obs 24e pg 198.